All of the following are seen in asbestosis except -
1. Diffuse alveolar damage
2. Calcified pleural plaques
3. Diffuse pulmonary interstitial fibrosis
4. Mesotheliomas

Correct answer: 1. Diffuse alveolar damage

Explanation: Diffuse alveolar damage is a characterstic feature of ARDS. As explained in the text, asbestos inhalation is associated with pleural plaque, interstitial fibrosis, bronchogenic cancer and mesothelioma.